All of the following are true about Oliguric ARF
1. Anemia
2. Metabolic Acidosis
3. Uremia
4. Hypercalcemia

Correct answer: 4. Hypercalcemia

Explanation: Answer is D (Hypercalcemia): Oliguric ARF is associated with hypocalcemia and not hypercalcemia. Hypocalcemia is caused by metastatic deposition of calcium phosphate, tissue resistance to PTH and reduced levels of active vitamin D.